Bupivacaine toxicity leads to?
1. Cardiac toxicity
2. Neural toxicity
3. Renal toxicity
4. Hepatic toxicity

Correct answer: 1. Cardiac toxicity

Explanation: Ans. is 'a' i.e., Cardiac toxicity * Bupivacaine is the most cardiotoxic local anesthetic.* Has been explained in previous sessions.